Burden of disease is given by -
1. Incidence
2. Crude death rate
3. Cause specific death rate
4. Proportional mortality rate

Correct answer: 4. Proportional mortality rate

Explanation: Proportional mortality rate (ratio)

Proportional mortality rate measures the proportion of total death due to specific cause or proportion of deaths in a particular age group.
It is defined as "number of deaths due to a particular cause (or in specific age group) per 100 total deaths".
It is the 'simplest measure of estimating the burden of disease' in the community.
It is a useful 'health Status indicator'; indicates magnitude of preventable mortality.
It is used when population data is not available.
It does not indicate the risk of members of population contracting or dying from the disease.

Proportional mortality from TB = No. of deaths due to TB in a year / Total no. of deaths in that year x 100
Under 5 proportional mortality rate = No. of deaths under 5 years age / Total no. of deaths during the same period x 100